Aminophylline inhibits which enzyme -
1. MAO
2. Alcohol dehydrogenase
3. Phosphodieseterase
4. Cytochrome P450

Correct answer: 3. Phosphodieseterase

Explanation: Ans. is 'c' i.e., Phosphodiesterase o Aminophylline is a preparation of theophylline, where theophylline is complexed with EDTA.o Theophylline is one of the three naturally occurring methylated xanthine alkaloids {methyl xanthines) - Caffeine, theophylline and theobromine,o Mechanism of actiona) Inhibition of phosphodiesterase - | degradation of cAMP or cGMPbronchodilatation - increased intracellular cAMP or cGMP.Blockade of adenosine receptorsRelease of Ca+2 from sarcoplasmic reticulum especially in skeletal and cardiac muscles.Recently it has been found that theophylline at low doses exert antiinflammatory action by activating a nuclear enzyme, histone deacetylase-2.